Factor X is ?
1. Hageman factor
2. Stuart-Prower factor
3. Christmas factor
4. Tissue factor

Correct answer: 2. Stuart-Prower factor

Explanation: Ans. is 'B' i.e., Stuart-Prower factor